Dentist prescribed home applied bleaching technique uses:
1. 35% Hydrogen Peroxide
2. 10% Carbamide peroxide
3. 18% Hydrochloric acid
4. Sodium perborate

Correct answer: 2. 10% Carbamide peroxide

Explanation: HOME BLEACHING TECHNIQUE/NIGHT GUARD BLEACHING
Commonly used solution for night guard bleaching 

10% carbamide peroxide with or without carbopol.
15% carbamide peroxide.
Hydrogen peroxide (1-10%).